Which one is non-ionising radiation -
1. MRI
2. CT Scan
3. X-ray
4. Position emission scintigraphy

Correct answer: 1. MRI

Explanation: Ans- A. MRI.